Most common heart disease associated with pregnancy is :
1. Mitral stenosis
2. Mitral regurgitation
3. Patent ductus arteriosus
4. Tetralogy of fallot's

Correct answer: 1. Mitral stenosis

Explanation: Ans. is a i.e. Mitral Stenosis In developing countries like India Most common heart disease in pregnancy is of Rheumatic origin, followed by the congenital heart disease. Most common Rheumatic valvular lesion is mitral stenosis (in 80%) folowed by mitral regurgitation and aortic stenosis. In developed countries : Most common heart disease is congenital heart disease.deg Most common lesion is Atrial septal defect.deg